All are dihydropyridines except:
1. Nifedipine
2. Nimodipine
3. Verapamil
4. Felodipine

Correct answer: 3. Verapamil

Explanation: Verapamil is a phenylalkalamine group of calcium channel blockers. All others mentioned in options are dihydropyridines. They are used in HTN, angina, Peripheral vascular disorders. REF.Essentials of Pharmacology KD Tripathi 8th ed.